Homonymous hemianopia type of visual field defect is seen in all except ?
1. Lateral geniculate body
2. Total optic radiation
3. Optic tract
4. Optic chaisma

Correct answer: 4. Optic chaisma

Explanation: Ans. is 'd' i.e., Optic chaisma